Anterior ischaemic optic neuropathy is characterized by:
1. Centrocaecal scotoma
2. Altitudinal hemianopia
3. Ring scotoma
4. Increased blood supply

Correct answer: 2. Altitudinal hemianopia

Explanation: (Altitudinal hemianopia) (335-Parson 20th)Anterior ischaemic optic neuropathy (AION) - refers to the segmental or generalized infarction of anterior part of the optic nerve.Clinical features -* Visual loss is usually marked and sudden* Pale or hyperaemic disc, with splinter haemorrhage* Visual field shows typical altitudinal hemianopia.* Confirmation of the diagnosis - Temporal artery biopsy* Annular or ring shaped scotoma are seen in Retinitis pigmentosa.